Snow banking is typically seen in –
1. Pars planitis
2. Endophthalmitis
3. Coat's disease
4. Eale's disease

Correct answer: 1. Pars planitis

Explanation: Exudates of intermediate uveitis (pars planitis) coalesce to form a grey white plaque called snow banking.